Thrombocytopenia is not seen in -
1. H.S. purpura
2. DIC
3. Leukemia
4. Metastasis

Correct answer: 1. H.S. purpura